Intracorpuscular hemolytic anemia is seen in ?
1. Autoimmune hemolytic anemia
2. TTP
3. Thalassemia
4. Infection

Correct answer: 3. Thalassemia

Explanation: Ans. is 'c' i.e., Thalassemia